Triad of Fetty's syndrome does not include
1. Osteoporosis
2. Rheumatoid Arthritis
3. Spleenomegally
4. Neutropenia

Correct answer: 1. Osteoporosis